Nucleus tractus solitarius receives fibers from all the following cranial nerves EXCEPT:
1. Glossopharyngeal
2. Vagus
3. Facial
4. Trigeminal

Correct answer: 4. Trigeminal

Explanation: Ans. d (Trigeminal nerve). (Ref. Ganong, Physiology, 21st ed., 221)Vagal nuclei1.Nucleus SolitariusVisceral Sensory information (e.g., taste, baroreceptors, gut distention).VII, IX, X. Cranial nerves.2.Nucleus ambiguousMotor innervation of pharynx, larynx, and upper esophagus (e.g., swallowing, palate elevation).IX, X, XI. Cranial nerves.3.Dorsal motor nucleusSends autonomic (parasympathetic) fibers to heart, longs, and upper Gl.-The myelinated but slowly conducting taste fibers are in 3 cranial nerves, including:# Chorda tympani branch of facial nerve (anterior 2/3rd tongue),# Glossopharyngeal nerve (posterior l/3rd tongue and circumvallate papillae), and# Vagus nerve (fibers from areas other than tongue).All these 3 nerve fibers unite in gustatory portion of nucleus tractus solitarius (ATS) in medulla.